Treatment of 42 year old obese man with blood glucose 450 mg, urine albumin 2+ Sugar 4+ Ketone 1+ is :
1. Insulin
2. Glibenclamide
3. Glipizide
4. Metformin

Correct answer: 1. Insulin

Explanation: Ans. is 'a' Insulin The patient is having diabetic ketoacidosis. (Ketones in urine and hyperglycemia).The only antidiabetic drug useful in any complications of diabetes (such as diabetic ketoacidosis, ischemia and gangrene) is Insulin. Oral hypoglycemics have no role in complicated diabetes.